National Tuberculosis Institute is located at
1. Bangalore
2. Chingelput
3. New Delhi
4. Chennai

Correct answer: 1. Bangalore